A 32-year-old HIV infected male is noted to have acute CMV infection causing acute gastrointestinal symptoms. The treating physician has ordered antiviral therapy. Which of the following is most likely to be targeted by the antiviral agent
1. Synthesis of viral DNA
2. Transcription of viral proteins
3. Nuclear transport of virus
4. Protease cleavage

Correct answer: 1. Synthesis of viral DNA

Explanation: Ganciclovir has been used primarily to treat severe CMV infections, and its method of action involves inhibition of DNA synthesis.